CD 19 positive, C 122 positive, CD103 positive monoclonal B-cells with bright kappa positivity were found to comprise 60% of the peripheral blood lymphoid cells on flow cytometric analysis in a 55 year old man with massive splenomegaly and a total leucocyte count 3.3 × 109/L. Which one of the following is the most likely diagnosis -
1. Splenic lymphoma with villous lymphocytes
2. Mantle cell lymphoma
3. B-cell prolymphocytic leukemia
4. Hairy cell leukemia

Correct answer: 4. Hairy cell leukemia